All are true except –
1. Halothane is good analgesic agent
2. Halothane sensitize heart to catacholamines
3. Halothane relaxes bronchi
4. Halothane causes hepatitis and liver cell necrosis

Correct answer: 1. Halothane is good analgesic agent

Explanation: Amongst the inhalational agents, halothane has no analgesic action.
Halothane sensitizes the heart to adrenaline, causes bronchodilatation and can cause hepatitis.